A pt. presented with renal cell carcinoma invadvin IVC and the renal vein. False statement is:
1. Preop biopsy is not necessary
2. IVC involvement indicates inoperability
3. Pre op radiotherapy is not essential
4. Chest x-ray should be done to rule out pulmonary metastasis.

Correct answer: 2. IVC involvement indicates inoperability

Explanation: Answer is B (IVC involvement indicates inoperability): Extension of tumor into IVC does not indicate inoperability. 'Extension into renal vein or inferior vena cava does not preclude resection even if cardiopulmonary bypass is required. Half of these patients have prolonged survival' - Harrison